A 3 year old girl presents with recurrent UTI. On USG shows hydronephrosis with filling defect and negative shadow of bladder with no ectopic orifice-
1. Vesicoureteric reflux
2. Hydronephrosis
3. Ureterocele
4. Sacrococcygeal teratoma

Correct answer: 3. Ureterocele